Recurrent vitreous hemorrhage in an otherwise healthy young male is caused by:
1. Trauma
2. Retinal vein obstruction
3. Eale's disease
4. Sickle cell retinopathy

Correct answer: 3. Eale's disease

Explanation: Ans: C i.e. Eale's disease Vitreous hemorrhage Vitreous hemorrhage in the young commonly follows contusion or a perforating injury Venous obstruction is prone to occur when the patient is hypertensive or atherosclerotic. About 3 months after the occlusion, capillary microaneurysms and fibrovascular proliferation may occur & vitreous hemorrhage may arise from the delicate new vessels Eale's disease is an idiopathic, inflammatory peripheral retinal vasculopathy which presents with recurrent vitreous haemorrhages in young males. Sickle cell C disease has its clinical manifestations predominantly in the eye